Arterial blood 02 in ml of 02 per dL:
1. 12.1
2. 19.8
3. 15.6
4. 27.8

Correct answer: 2. 19.8

Explanation: B i.e. 19.8